All of the following structures are located in the lateral wall of the cavernous sinus except:
1. Abducent nerve
2. Oculomotor nerve
3. Trochlear nerve
4. Ophthalmic nerve

Correct answer: 1. Abducent nerve

Explanation: Ans. Abducent nerve